Critical path method is -
1. Cost effective analysis
2. Cost benefit analysis
3. Network analysis
4. Input-output analysis

Correct answer: 3. Network analysis

Explanation: - a network is a graphic plan of all events and activities to be completed in order to reach an end objective. - the two common types are of network technique are ; PE and CPM. -Critical path method : the longest path of the network. - if any activity along the critical path is delayed, the whole project will be delayed. Reference : Park's textbook of preventive and social medicine, 23rd edition, pg no:872